Most common oral infection in diabetes mellitus
1. Candida
2. Aspergillus
3. Streptococcus
4. Stphylococcus

Correct answer: 1. Candida

Explanation: Ans. is 'a' i.e., Candida Individuals with DM have a greater frequency and severity of infection. The reasons for this include incompletely defined abnormalities in cell-mediated immunity and phagocyte function associated with hyperglycemia, as well as diminished vascularization. Hyperglycemia aids the colonization and growth of a variety of organisms (candida and other fungal species).